Which of the following is true about parasympathetic nervous system?
1. Ach is transmitter at both pre & post synaptic junction
2. It causes dilatation of skeletal muscles
3. Post-ganglionic fibres are longer than pre ganglionic fibres
4. Noradrenalin is the neurotransmitter at post ganglionic junction

Correct answer: 1. Ach is transmitter at both pre & post synaptic junction